All are true regarding Japanese encephalitis disease except:
1. Man act as reservoir
2. Vector is culex vishnuii
3. Pig vaccination control transmission
4. None is true

Correct answer: 1. Man act as reservoir

Explanation: Japanese encephalitis- Cause - Group B Arbovirus Vector- Culex Amplifier host - pig Actual host - ducks and fowls Accidental host - Man IP-5 - 15 days Vaccines-Live Strath - SA - 14 - 14 - 2 at 9 -16-24 months killed strain - Nakayama , Beijing Pg